False about caffey's disease
1. Usually occurs in infants < 6 months
2. Jaw Osteomyelitis
3. Cortical hyperostosis
4. Caused by salmonella

Correct answer: 4. Caused by salmonella